Which of the following is not a secondary granule:
1. Lactoferrin
2. Alkaline phosphatase.
3. BPI
4. Lysozyme

Correct answer: 3. BPI

Explanation: Specific (secondary) granules

Lactoferrin
Alkaline phosphatase
Type IV phosphatase
Leucocyte adhesion molecules
Plasminogen activator
Phospholipase A2

Azurophilic (primary) granules

Myeloperoxidase
Lysozyme-Bactericidal factors
Acid hydrolase
Elastases
Nonspecific collagenase
BPI
Defensins
Cathepsins G
Phospholipase A2